Duodenum and Jejunum secrete ALL EXCEPT
1. CCK
2. Secretin
3. GIP
4. VIP

Correct answer: 4. VIP

Explanation: V.I.P. is a inhibitory neurotransmitter found in nerves in the gastrointestinal tract and thus is not itself a hormone.